Root value of ankle jerk -
1. L3L4
2. L4L5
3. S1S2
4. S}S4

Correct answer: 3. S1S2

Explanation: Ans. is 'C1 i.e., S|S2 Deep tendon reflexRoot valueBiceps JerkC3C6Supinator reflex (Brachioradialis)C5C6Triceps JerkC7C8Knee JerkL3L4Ankle JerkS1S2